Calculate positive predictive value of ELISA test for HIV with sensitivity 99%, specificity 99%. Prevalence of HIV in population is 5/1000.
1. 10
2. 70
3. 34
4. 99

Correct answer: 3. 34

Explanation: Ref :Parks 23rd edition pg139 Construct a 2x2 table using the above data. 4.95 9.95 0.05 985.05 PPV = TP / (TP + FP) = 4.95/(4.95+9.95)=0.34